A window is prepared on the labial side of stainless steel crown for improvement in aesthetics, this technique is known as:
1. Reverse stainless steel crown technique.
2. Basket crown technique.
3. Aesthetic crown technique.
4. None.

Correct answer: 2. Basket crown technique.

Explanation: Reverse crown technique is used to correct crossbite.